Stain used to diagnose amyloidosis:
1. Methylene blue
2. Acid fast stain
3. Rose bengal
4. Congo red

Correct answer: 4. Congo red

Explanation: Ans. D: Congo red